A 50 year old male presents with painupper abdomen, pruzitus, jaundice and weight loos, elevated ANA, the likely diagnosis is
1. Primary sclerosing cholangitis
2. Klatskin tumor
3. Secondary sclerosing cholangitis
4. Choledocholinthiasis

Correct answer: 1. Primary sclerosing cholangitis

Explanation: .Primary sclerosing cholangitis is one wherein no cause is found and is associated with ulcerative colitis, Sjogren's syndrome, Crohn's disease, Grave's disease. It eventually leads to biliary cirrhosis. Primary sclerosing cholangitis (PSC) is an idiopathic, progressive, chronic, cholestatic pathology with diffuse inflammation, sclerosis, and obliteration of intra and extra hepatic biliary systems. There will be multiple areas of strictures and dilatations. It has high risk for cholangiocarcinoma. It could be an autoimmune disease. ref:SRB'S manual of surgery,ed 5,pg no 590